All are true about mediastinum EXCEPT -
1. Heart passes through superior mediastinum
2. Heart passes through middle mediastinum
3. Thymus present in superior mediastinum
4. Lower border of posterior mediastinum is extended more than anterior mediastinum

Correct answer: 1. Heart passes through superior mediastinum

Explanation: Mediastinum : is middle space left in thoracic cavity in between the lungs. The superior & inferior mediastinum is divided by an imaginary line passing through sternal angle anteriorly & lower border of T4 posteriorly. Inferiorly, mediastinum is subdivided into anterior, middle & posterior mediastinum by the pericardium. CONTENTS OF MEDIASTINUM: Superior mediastinum Middle mediastinum Anterior mediastinum Posterior mediastinum Oesophagus Trachea Aortic arch + branches Upper part of SVC Phrenic nerves Vagus nerve Major part of thymus Pericardium Heart Pulmonary trunk Ascending aorta Lower SVC Upper IVC Phrenic nerve Sterno - pericardial ligaments Lymph nodes Lowest part of thymus Areolar tissue Oesophagus Descending thoracic aorta Vagus nerve Azygous, hemiazygos veins.